In a normal adult the marked desire for micturition is felt -
1. When about 100-200 cc f urine has collected in the bladder
2. When about 300 - 400 cc of urine has collected in the bladder
3. When about 600-800 cc of urine has collected - in the bladder
4. When about 1000 cc of urine has collected in the bladder

Correct answer: 2. When about 300 - 400 cc of urine has collected in the bladder

Explanation: B i.e., when about 300-400 ml of urine is collected in bladder